Which of the following is most likely to be affected in an anuerysm of posterior cerebral artery (PCA)?
1. Hypophysis cerebri
2. Trochlear nerve
3. Oculomotor nerve
4. Optic nerve

Correct answer: 3. Oculomotor nerve